Which of the following antiglaucoma medications are not safe in infants
1. Timolol
2. brimonidine
3. Latanoprost
4. Dorzolamide

Correct answer: 2. brimonidine

Explanation: Apraclonidine and brimonidine can cross blood brain barrier and can cause CNS depression and Apnea in neonates. therefore these are contraindicated in children less than 2 years of age Refer Goodman and Gilman 12e p1788,kdt 6/e 168